Infraclavicular lesion in tuberculosis is
1. Ghon focus
2. Assman focus
3. Simon focus
4. Puhl's focus

Correct answer: 2. Assman focus

Explanation: Assman focus - Infraclavicular lesion.